Which enzyme is inhibited by caffeine?
1. Monoamine oxidase
2. Alcohol dehydrogenase
3. Phosphodiesterase
4. Cytochromo P 450

Correct answer: 3. Phosphodiesterase

Explanation: Aminophyllines(theophylline, caffeine) inhibits the release of ca from sarcoplasmic reticulum and inhibition of phosphodiesterase3/4 causes increased CAMP and bronchodilation ESSENTIALS OF MEDICAL PHARMACOLOGY SEVENTH EDITION KD TRIPATHI PG NO .225,227